Viral Conjunctivitis is most commonly caused by
1. Herpes simplex
2. Enterovirus
3. Adenovirus
4. Coxackie A Virus

Correct answer: 3. Adenovirus

Explanation: Viral Conjunctivitis is most commonly caused by Adenovirus.